Enzyme deficiency in McArdle's syndrome?
1. Acid maltase
2. Muscle phosphorylase
3. Liver debranching enzyme
4. Branching enzyme

Correct answer: 2. Muscle phosphorylase

Explanation: Type name Enzyme Deficiency Clinical Features V Myophosphorylase deficiency, McArdle's syndrome Muscle phosphorylase Poor exercise tolerance Muscle glycogen abnormally high (2.5%-4%) Blood lactate very low after exercise Reference: Harper; 30th edition; Table: 18-2; Page no: 179